The class of antibodies that plays an important role in type I hypersensitivity reactions is _____.
1. IgA
2. IgD
3. IgE
4. IgG

Correct answer: 3. IgE

Explanation: Although IgE is the least prevalent immunoglobulin in the body, it is the major antibody mediator of type I hypersensitivity reactions. These reactions are caused primarily by prior sensitization and the accumulation of IgE to a specific allergen.